The term infantile polyarteritis nodosa was used for
1. Goodpasteures syndrome
2. Henoch schalein puurpura
3. Kawasaki diseases
4. Takayasu aerits

Correct answer: 3. Kawasaki diseases

Explanation: Refer robbins 9/e 506 Kawasaki disease, also referred to as Kawasaki syndrome or mucocutaneous lymph node syndrome, affects children and includes several symptoms: fever rash swelling of the hands and feet irritation and redness of the whites of the eyes swollen lymph glands in the neck irritation and inflammation of the mouth, lips and throat These effects of Kawasaki disease are rarely serious. The acute phase of the condition commonly lasts 10-14 days or more. Most children recover fully. But, in some cases, Kawasaki disease can lead to long-term heart complications.